Degeneracy of codons means
1. More than one codon for a single amino acid
2. Termination of protein synthesis
3. Transcription
4. Translation

Correct answer: 1. More than one codon for a single amino acid